side effects of power bleaching
1. Teeth hypersensitivity
2. Damage to existing restoration.
3. Inhibition of pulpal enzymes.
4. All of the above

Correct answer: 4. All of the above